The posterior iliac horn is characteristic of:
1. Nail-patella syndrome
2. Marfan's syndrome
3. Hurler syndrome
4. Acromegaly

Correct answer: 1. Nail-patella syndrome

Explanation: Ans. Nail-patella syndrome